Hypocalcemia in immediate post - , op period following excision of parathyroid adenoma is due to
1. Hyper calciuria
2. Stress
3. Increased uptake by bones
4. Increased calcitonin

Correct answer: 3. Increased uptake by bones

Explanation: Hungry Bone syndrome Hypocalcemia in immediate post-op period following excision of parathyroid adenoma is due to increased uptake by bones It is known as hungry bone syndrome Ref: schwaz's principle of surgery 10th edition Pgno :73